Human placenta is best described as:
1. Discoidal
2. Hemochorial
3. Deciduate
4. All of the above

Correct answer: 4. All of the above

Explanation: Ans. is d, i.e. All of the aboveRef: Dutta Obs 9/e, p 25Human placenta is discoid-disc like in shape hemochorial because of direct contact of chorion with blood maternal deciduate, i.e. it is shed at the time of parturition.